Hypervitaminosis D may cause all of the following EXCEPT:-
1. Remineralization of bone
2. Deposition of calcium in arteries
3. Renal calculi
4. Loss of appetite

Correct answer: 1. Remineralization of bone

Explanation: Hypervitaminosis D:

 Vitamin D is stored mostly in liver and slowly metabolised. 
Among the vitamins,  vitamin D is the most toxic in overdoses (10-100 times RDA). 
Toxic eﬀects of hypervitaminosis D  include demineralization of bone (resorption) and increased calcium absorption from the intestine,  Ieading to elevated calcium in plasma (hypercalcemia). Prolonged hypercalcemia is associated with  deposition of calcium in many soft tissues such as kidney and arteries. 
Hyper- vitaminosis D may lead  to formation of stones in kidneys (renal calculi). 
High consumption of vitamin D is associated with loss  of appetite, nausea, increased thirst, loss of weight

Key Concept:
Toxic eﬀects of hypervitaminosis D  include demineralization of bone (resorption) and increased calcium absorption from the intestine,  Ieading to elevated calcium in plasma (hypercalcemia).
Ref : Textbook of Biochemistry, Satyanarayana